Hyper parathyroidism is characterised by the following except
1. Generalised osteoporosis
2. Renal calculi
3. Hypercalcemia
4. Osteosclerosis

Correct answer: 4. Osteosclerosis

Explanation: Clinical features of Hyperparathyroidism Patients with PHPT formerly presented with the 'classic' pentad of symptoms Kidney stones Painful bones Abdominal groans Psychic moans Fatigue overtones Ref: schwartz's principle of surgery 10th edition Pgno :1560